“Acrodermatitis enteropathica” is seen in a deficiency of
1. Molybdenum
2. Selenium
3. Chromium
4. Zinc

Correct answer: 4. Zinc

Explanation: Essential features of zinc deficiency are:

Distinctive rash, often around the eyes, nose, mouth, anus and distal parts.
Anorexia, often accompanied by diarrhoea
Growth retardation in children
Impaired wound healing
Hypogonadism with I reproductive capacity.
Altered immune function
Impaired night vision related to altered vitamin A metabolism
Depressed mental function
Increased incidence of congenital malformation in infants of Zn-deficient mothers. Micro and macroelements